If both the ala of the sacrum are absent, Charecteristic of
1. Naegele pelvis
2. Robert pelvis
3. Triradiate pelvis
4. Rachitic pelvis

Correct answer: 2. Robert pelvis

Explanation: A pelvis that is narrowed transversely due to the entire absence of both the alae of sacrum is charecteric of Robert's pelvis